Autoclaving is done at what temperature for 15 minutes:
1. 118 degree C
2. 121 degree C
3. 126 degree C
4. 134 degree C

Correct answer: 2. 121 degree C

Explanation: Ans. B: 121 degree C